Mild hemolytic anaemia is associated with vitamin deficiency-
1. B6
2. E
3. A
4. C

Correct answer: 2. E

Explanation: Vitamin E acts as antioxidants that serve to scavenge free radicals formed in redox reactions throughout the body.
Vitamin-E deficient erythrocytes are more susceptible to oxidative stress and have a shorter half-life in the circulating blood.